Mary's law states the relationship of heart rate with which of the following parameter?
1. Cardiac output
2. Stroke volume
3. Arterial BP
4. Presystolic volume

Correct answer: 3. Arterial BP

Explanation: According to Mary's law heart rate is inversely propotional to Blood pressure. When blood pressure decreases baroreceptors present in the carotid sinus are inhibited and the net effect are: Increase in peripheral resistance Increased myocardial contractility Increased heart rate Increase in blood pressure